Which bacteria is known as Friedlanders bacillus?
1. E. coli
2. Pseudomonas aeruginosa
3. Klebsiella pneumoniae
4. Vibrio parahemolyticus

Correct answer: 3. Klebsiella pneumoniae

Explanation: Klebsiella pneumoniae is also known as Friedlander's bacillus or Bacillus mucosus capsulatus. - Karl Friedlander, 1847-1887, German bacteriologist - who helped discover the bacterial cause of pneumonia in 1882. - Gram-negative, short and straight rods, Nonmotile, lactose fermenter. - Capsulated, produce mucoid colonies. (Refer to the image below)